All are true about aspirin poisoning except
1. Acidosis
2. Hypothermia
3. Dehydration
4. Oliguria

Correct answer: 2. Hypothermia